Bacterial endocarditis is rarely seen in
1. VSD
2. PDA
3. MVP
4. Secundum ASD

Correct answer: 4. Secundum ASD

Explanation: Ref Harrison 19 th ed pg 816 Infection most commonly involves heart valves but may also occur on the low-pressure side of a ventricular septal defect, on mural endocardium damaged by aberrant jets of blood or foreign bodies, or on intracardiac devices themselves. The analogous process involving arteriovenous shunts, arterio-arterial shunts (patent ductus arteriosus), or a coarctation of the aorta is called infective endarteritis.